False about sympathetic ophthalmitis
1. Injured eye is called exciting eye
2. Common in children
3. It follows a blunt trauma
4. It is a serious bilateral granulomatous panuveitis

Correct answer: 3. It follows a blunt trauma

Explanation: It follows a penetrating ocular trauma.